A female patient Nandini presents with upper respiratory tract infection. After 15 days, she develops hematuria. Probable diagnosis is:
1. IgA nephropathy
2. Wegener's granulomatosis
3. Henoch scholein purpura
4. Post streptococcal glomerulonephritis

Correct answer: 4. Post streptococcal glomerulonephritis

Explanation: Answer is D (Post streptococcal glomerulonephritis): While, IgA Nephropathy presents within three days, presentation of poststreptococcal GN is usually delayed to more than 10 days'.